Horner's syndrome, all are true except:
1. Unilateral loss of sweating
2. Enophthalmos
3. Mydriasis
4. Ptosis

Correct answer: 3. Mydriasis

Explanation: C i.e. Mydriasis